When should a case of Non-Insulin Dependent Diabetes Mellitus (NIDDM) with a history of diabetes for one year, undergo an ophthalmic examination?
1. As early as feasible
2. After 5 years
3. After 10 years
4. Only after visual symptoms develop

Correct answer: 1. As early as feasible

Explanation: Patients with type 2 diabetes should have an initial dilated eye examination at the time of diagnosis of diabetes and annually thereafter. Since this patient was diagnosed as a case of type 2 diabetes 1 year ago, she should have an eye examination as early as possible. Ref: Diabetes in Women: Adolescence, Pregnancy and Menopause By E. Albert Reece, 3rd Edition Page 99; Comprehensive Ophthalmology By A K Khurana, 4th Edition, Page 260-2.